Because of an inflammatory bowel disease (Crohn's disease) and a small bowel obstruction leading to bowel ischemia, an elderly woman requires bypass of her ileum and jejunum and is scheduled for a gastrocolostomy. The surgeon will ligate all arteries that send branches to the stomach. Which of the following arteries may be spared?
1. Splenic artery
2. Gastroduodenal artery
3. Inferior pancreaticoduodenal artery
4. Left gastroepiploic artery

Correct answer: 3. Inferior pancreaticoduodenal artery

Explanation: The inferior pancreaticoduodenal artery does not supply the stomach. All the other arteries supply the stomach.